Periodontal index is also known as:
1. Loe & Sillness index
2. Russel index
3. Ramford index
4. Shick & ash index

Correct answer: 2. Russel index